A drug lacking vasodilatory properties that is effective in angina is:
1. Isosorbide dinitrate
2. Metoprolol
3. Nifedipine
4. Verapamil

Correct answer: 2. Metoprolol